During the formation of hydroxyproline and hydroxylysine, the essential factors required is/are -
1. Pyridoxal phosphate
2. Ascorbic acid
3. Thiamine pyrophosphate
4. Methylcobalamine

Correct answer: 2. Ascorbic acid